Dose of atropine for premedication per kg body weight is
1. 10 mg
2. 0.1 mg
3. 0.01 mg
4. 0.001 mg

Correct answer: 3. 0.01 mg

Explanation: 0.01 mg Doses of atropine: For premedication: 0.01 mg/kg. Along with neostigmine for preventing muscarinic side effects: 0.02 mg/kg. Vagolytic dose: 2 mg (0.04 mg/kg).